Features of fungal ulcer –a) Symptoms more than signsb) Dry ulcerc) Diffuse corneal edemad) Hyphenated margins
1. c
2. d
3. ab
4. bd

Correct answer: 4. bd

Explanation: Signs are more prominent than symptoms in a fungal corneal ulcer.
A fungal corneal ulcer is dry looking, greyish white with elevated rolled out margins.
There is no diffuse corneal edema.
Ulcer margin is feathery and hyphate.